About epidemiology of AIDS all are true except
1. Maternofetal transmission is the most common mode of transmission
2. In India it is mainly caused by HIV-1
3. I.V. drug abuse increases the risk
4. Medical personnel are at higher risk of getting infection with HIV

Correct answer: 1. Maternofetal transmission is the most common mode of transmission